All of the following are complications in a patient, on total parenteral nutrition except:
1. Hyperchlosterolemia
2. Hyperglycemia
3. Hypotriglyceriedemia
4. Hypophophatemia

Correct answer: 3. Hypotriglyceriedemia

Explanation: Ans. C: Hypotriglyceriedemia